Auditory fatigue is seen at -
1. 90 dB, 4000Hz
2. 110 dB, 4000Hz
3. 130 dB, 4000Hz
4. 150 dB, 4000Hz

Correct answer: 1. 90 dB, 4000Hz